In class -III Ellis fracture
1. Only enamel is involved
2. Enamel and dentin are involved
3. Enamel, dentin and pulp are involved
4. Non-vital pulp

Correct answer: 3. Enamel, dentin and pulp are involved